The most common cause of SVC syndrome is ?
1. Thrombosis
2. Extrinsic compression
3. Mediastinal lymphoma
4. Teratoma

Correct answer: 2. Extrinsic compression

Explanation: Ans. is 'b' i.e., Extrinsic compression Superior venacava syndrome o 'Superior vena caval syndrome' or 'SVCS' is the clinical manifeststion of superior vena cava obstruction with severe reduction in venous return from head, neck and upper extremities. Most common cause (90%) appears to be extrinsic compression from malignant tumors such as Lung cancer, Lymphoma, and Metastatic tumors. of the malignant tumors, most common tumors is Lung cancer or Bronchogenic Carcinoma, especially small cell Ca o In young adults, malignant lymphoma is the leading cause of SVCS. o Non-malignant causes of SVCS are include benign tumors, aortic aneurysm, thyromegaly, thrombosis and fibrosing mediastinitis from prior irradiation or histoplosmosis.